Weight gain is seen in all of the following except:
1. Phaeochromocytoma
2. Hypothyroidism
3. Insulinoma
4. Cushing's syndrome

Correct answer: 1. Phaeochromocytoma

Explanation: Ans. A: Phaeochromocytoma Medical causes of weight gain: Olanzapine Ethinylestradiol Trifluperidol Orchidectomy Pizotifen Hypothyroidism Clozapine Mianserin Cyproterone Haloperidol Cushing's syndrome Insulinfinsulinoma Prednisolone Testosterone Growth hormone secreting pituitary tumour Phaeochromocytoma is associated with weight loss.